Cyanosis NOT improving with 100% oxygen in case of
1. Cardiac asthma
2. Interstitial lung disease
3. Bronchial asthma
4. Tetrology of heart

Correct answer: 4. Tetrology of heart

Explanation: Presence of cyanosis that does not improve with supplemental oxygen suggest true pathological cardiac or pulmonary shunting of blood . Ref Harrison 19th edition pg 1248-49